Chadwick sign is seen in :
1. Cervix
2. Vagina
3. Uterus
4. Ovary

Correct answer: 2. Vagina

Explanation: During pregnancy, due to increased vascularity and hyperemia there is bluish discoloration of vagina called as Chadwick sign. Ref: Datta Obs 9e pg 42.